Increased IgA deposits are seen in -
1. Henoch Schonlein Purpura
2. Minimal Change Glomerulonephritis
3. Chronic Pyelonephritis
4. Haemolytic Uraemic Syndrome

Correct answer: 1. Henoch Schonlein Purpura

Explanation: Henoch schonlein purpura 

This syndrome consists of


Pruritic skin lesions characteristically involving the extensor surfaces of arms and legs as well as buttocks.
Abdominal manifestations → Pain, vomiting, bleeding
Nonnzigratory arthralgia
Renal abnormalities


The disease most commonly affects children between 3 to 8 years.

Renal manifestations

Gross or microscopic hematuria
Proteinuria
Nephrotic syndrome
There is deposition of IgA, sometimes with IgG and C3, in the mesangial region.
IgA is deposited in the glomerular mesangium in a distribution similar to that of IgA nephropathy. This has led to the concept that IgA nephropathy and Henoch-Schonlein purpura are spectra of the same disease.